All of the following are trypsin inhibitors, except:
1. Alpha - 1 antitrypsin
2. Alpha - 1 - antiproteinase
3. Enterokinase
4. Egg - white

Correct answer: 3. Enterokinase

Explanation: Enterokinase is a glycoprotein enzyme that activates trypsin and is present in the brush border of intestine. Ref: Biochemistry By Mary K. Campbell, Shawn O. Farrell, 7th Edition, Page 176; Harper's Textbook of Biochemistry, 27th Edition, Page 597